Trapezius muscle is attached to all structures EXCEPT
1. First rib
2. Clavicle
3. Scapula
4. Occiput

Correct answer: 1. First rib

Explanation: Trapezius is a upper back muscle triangular in shape. Origin- Occipital bone Cervical spine Thoracic spine Insertion- Clavicle (lateral 1/3rd) Acromian process of scapula Spine of scapula Supplied by Spinal acessory nerve. Action - pulls the shoulder upwards.